Collagen protein axial periodicity is -
1. 67nm
2. l07nm
3. 207nm
4. 307nm

Correct answer: 1. 67nm

Explanation: Ans. is 'a' i.e., 67 nm.The fibrillogenesis involves the lateral association of collagen triple helices, the structural unit of collagen, to form long, smooth fibrils with a characteristic 67-nm axial structural feature known as the D-periodicity or axial periodicity.